Which of the following statement(s) is true concerning breast reconstruction?
1. The timing of breast reconstruction is of oncologic significance
2. Breast reconstruction may interfere with detection of local recurrence of breast cancer
3. Maintenance of an effective subpectoral pocket for a breast implant requires preservation of the pectoralis fascia
4. Because of its complexity, the TRAM flap is seldom used for primary breast reconstruction

Correct answer: 3. Maintenance of an effective subpectoral pocket for a breast implant requires preservation of the pectoralis fascia

Explanation: Breast reconstruction Suitable for any woman who has undergone mastectomy who desires reconstruction. May be performed at the time of mastectomy (immediate) or sometime subsequently (delayed) because the presence of reconstruction may interfere with the accurate planning and administration of radiation therapy, reconstruction is generally delayed if the use of local or regional radiation therapy is anticipated. Timing of breast reconstruction is of no oncologic significance. Because most local recurrences occur in the skin's subcutaneous tissues, the presence of a reconstruction will not interfere with detection. Similarly, a reconstruction does not complicate the administration of chemotherapy. Utilize either autogenous tissue or synthetic prostheses to recreate a breast mound. Prosthetic reconstruction is usually accomplished by sub-pectoral placement of a saline-or silicone gel-filled implant. Maintenance of an effective sub-pectoral pocket for an implant requires preservation of the pectoralis fascia and the medial pectoral nerve during mastectomy. The transverse rectus abdominous myocutaneous (TRAM) flap Autogenous reconstruction of choice. Ccomplex and time consuming. Despite the magnitude of the procedure, it is still commonly used for immediate reconstruction.